The granules discharged in mycetoma contains -
1. Bone specules
2. Fungal colonies
3. Pus cells
4. Inflammatory cells

Correct answer: 2. Fungal colonies

Explanation: Ans. is 'b' i.e.. Fungal colonies o Granules are microcolonies of the etiological agents. o Colour of the discharging granules (grains) vary with the different agents causing the disease.